Immune hydrops is associated with:
1. Thalassemia
2. Rh incompatibility
3. Hereditary spherocvtosis
4. Sickle cell anemia

Correct answer: 2. Rh incompatibility

Explanation: Hydrops fetalis is a condition when there is accumulation of fluid in at least two fetal compartments: ascites, pericardial effusion, pleural effusion or anasarca. Immune hydrops (erythroblastosis fetalis) is where hydrops occurs secondary to mother's immunity causing fetal RBC hemolysis and is almost always due to Rh incompatibility. Non immune hydrops is because of non immune causes of fetal hemolysis Cardiac conditions like heart block Infections like parvo virus (B19) Hematological cause like alpha thalassemia Gastrointestinal causes Renal causes Cystic hygroma